Histone has post - translational modification by all/ except.
1. Acylation
2. Methylation
3. Phosphorylation
4. Glycosylation

Correct answer: 4. Glycosylation

Explanation: Ans. is 'd' i.e. Glycosylation : Five type of modifications seen in histone proteinADP - ribosylationCovalent linkage to ubiquitinPhosphorylationAcetylationMethylation Mnemonic : RUPAMCourtesy Dr. Kapisoor Singh, KGMC